Necrosis with putrefaction is called as:
1. Desiccation
2. Gangrene
3. Liquefaction
4. Coagulative necrosis

Correct answer: 2. Gangrene

Explanation: GANGRENE
Gangrene is a form of necrosis of tissue with superadded putrefaction. The type of necrosis is usually coagulative due to ischemia (e.g. in gangrene of the bowel, gangrene of limb).  On the other hand,  gangrenous or necrotizing inflammation is characterized by primary inflammation provoked by virulent bacteria resulting in massive tissue necrosis. Thus, the end-result of necrotizing inflammation and gangrene is the same but the way the two are produced is different.  The examples of necrotising inflammation are gangrenous appendicitis, gangrenous stomatitis (noma, cancrum oris). There are 2 main forms of gangrene—dry and wet, and a variant form of wet gangrene called gas gangrene. In all types of gangrene, necrosis undergoes liquefaction by the action of putrefactive bacteria.
Harsh Mohan  Pathology for dental students 7th ed page 43